Early neonatal period is -
1. 1 day
2. 7 days
3. 28 days
4. 14 days

Correct answer: 2. 7 days

Explanation: Ans. is 'b' i.e., 7 days